Which vaccine is given by subcutaneous route -
1. BCG
2. Measles
3. Rabies
4. DPT

Correct answer: 2. Measles

Explanation: Ans. is 'b' i.e., Measles